Important feature of sympathetic ophthalmitis:
1. Visual field defects
2. Keratic precipitates at the back of cornea
3. Fundus changes
4. Development of lenticular opacities

Correct answer: 2. Keratic precipitates at the back of cornea

Explanation: Ans. B i.e. Keratic precipitates at the back of cornea Sympathetic ophthalmitis Ciliary body is injured, Seen after penetrating injury in ciliary region (dangerous region) 1st sign of SO: Keratic precipitates/Retrolental flare May present as: Difficulty in reading from one eye after 3-4 weeks of injury to other eye